Methicillin resistance in Staph. aureus is due to:
1. 13-lactamase
2. MECA gene
3. AMPC gene
4. Porin develop

Correct answer: 2. MECA gene

Explanation: Ans. is. b. MECA gene